The classification proposed by the International Lymphoma Study Group for non - Hodgkin's lymphoma is known as -
1. Kiel classification
2. REAL classification
3. WHO classification
4. Rappaport classification

Correct answer: 2. REAL classification

Explanation: International Lymphoma Study Group (Harris et al) proposed revised European -American classification of lymphoid neoplasms (REAL classification ) .This classification was based on the hypothesis that all forms of lymphoid malignancies represent malignant counterparts of normal population of immune cells present in the lymph node & bone marrow.

Harsh mohan textbook of pathology 6TH edition pg no 366.